Squamous papilloma is induced by
1. EBV
2. HSV
3. HPV
4. CMV

Correct answer: 3. HPV